Distended abdomen in intestinal obstruction is mainly due to -
1. Diffusion of gas from blood
2. Fermentation of residual food
3. Bacterial action
4. Swallowed air

Correct answer: 4. Swallowed air

Explanation: The distention of bowel proximal to the obstruction is produced by two factors